Which of the following is the largest foramen of skull?
1. Foramen lacerum
2. Foramen magnum
3. Foramen ovale
4. Foramen spinosum

Correct answer: 2. Foramen magnum

Explanation: The foramen magnum is the largest foramen of the skull. It opens upwards into the posterior cranial fossa, and downwards into the vertebral canal. It is oval in shape, being wider behind than in front  where it is overlapped on each side by the occipital condyles.